Which of the following drugs is NOT used for erectile dysfunction?
1. Phenylephrine
2. Apomorphine
3. Yohimbine
4. Vardenafil

Correct answer: 1. Phenylephrine

Explanation: Phenylephrine - It is a selective a1 agonist- It raises BP by causing vasoconstriction. Because it has little cardiac action, reflex bradycardia is prominent. it is Used as a nasal decongestant and for producing Mydriasis when cycloplegia is not required. Phenylephrine tends to reduce intraocular tension by constricting ciliary body blood vessels. ESSENTIALS of medical PHARMACOLOGY SEVENTH EDITION-kD TRIPATHI Page:127